Features not seen in Cushing's Syndrome is :
1. Hypoglycemia
2. Hypertension
3. Frank psychosis
4. Hypokalemia

Correct answer: 1. Hypoglycemia

Explanation: Answer is A (Hypoglycemia): Cushing's syndrome is characterised by Hy perglycemia. Increased hepatic gluconeogenesis and insulin resistance causes increase in blood glucose. Hypertension is common, & emotional changes may be profound, ranging from irritability & emotional liability to severe depressions, confusion or even frank psychosis. Hvpokalemia. hypochloremia and metabolic alkalosis may be seen